In the Begg's fixed appliance, a bracket having:
1. Horizontal slot is used with round wire
2. Horizontal slot is used with rectangular wire
3. Vertical slot is used with round wire
4. Vertical slot is used with rectangular wire

Correct answer: 3. Vertical slot is used with round wire

Explanation: The bracket used in Begg fixed appliance mechanotherapy is modified ribbon arch bracket, with vertical slot and opening of this bracket is in occlusal/incisal direction. Dr. Begg proposed use of special type of round wire called Australian wire in his technique.